Which of the following arteries supply pectoralis major muscle:
1. Pectoral branches of thoracoacromial artery
2. Intercostal artery
3. Lateral thoracic artery
4. All

Correct answer: 4. All

Explanation: A i.e. Pectoral branches of thoracoacromial artery; B i.e. Intercotal artery; C i.e. Lateral thoracic arteryPectoralis major muscle is supplied by one dominant vascular pedicle from pectoral branch of thoraco-acromial artery, supplied by several smaller secondary segmental vessels from deltoid & clavicular branches of thoracoacromial artery, and perforating branches of, intercostal, internal thoracic/internal mammary, superior thoracic and lateral thoracic arteries.Intercostal arteries supply blood to intercostal muscle, pectoral muscles, breast, skin, (by both anterior & posterior intercostal, arteries); spinalis, longissimus thoracic, iliocostalis, medial aspects of latissimus dorsi & trapezius (by dorsal branch of posterior intercostal artery) and serratus anterior (by muscular branch of posterior intercostal artery).